Lower limit of superior mediastinum is at which level -
1. T1
2. T4
3. T8
4. T10

Correct answer: 2. T4

Explanation: Ans. is 'b' i.e., T4 o Mediastinum is interpleural space bounded on either side by mediastinal pleura, anteriorly by sternum and posteriorly by thoracic vertebral column.o It is divided into superior and inferior mediastinum by a line passing through sternal angle and lower border of T4 vertebra.o Inferior mediastinum is further subdivided into anterior mediastinum in front of pericardium, middle mediastinumincludes pericardium and heart, and posterior mediastinum behind the pericardium. Important contents in mediastinum are:-